Arterial supply of the duodenum is by -
1. Superior mesenteric artery
2. Celiac artery
3. Inferior mesenteric artery
4. Both superior mesenteric & celiac arteries

Correct answer: 4. Both superior mesenteric & celiac arteries

Explanation: Upper part of duodenum (up to opening of bile duct) is derived from foregut and therefore is supplied by Coeliac trunk.
Lower part of duodenum (below the opening of bile duct) is derived from midgut and is supplied by superior mesenteric artery.